Initial 2cm of Duodenum does not get arterial supply by
1. Right gastric artery
2. Superior pancreaticoduodinal artery
3. Right Gastroepiploic artery
4. Common hepatic artery

Correct answer: 2. Superior pancreaticoduodinal artery

Explanation: Initial 2cm of Duodenum ( Duodenal Cap) is not supplied by Superior pancreaticoduodinal artery.